Which of the following is a delayed absorbable synthetic suture material ?
1. Chromic catgut
2. Vicryl
3. Silk
4. Nylon

Correct answer: 2. Vicryl

Explanation: Silk and nylon are non absorbable suture materials. Chromic catgut is catgut (natural) with chromic acid salt which gets absorbed in 21 days. Vicryl is synthetic, multifilament and braided, absorbable suture material which gets absorbed in 90 days by hydrolysis Reference : page 1172 SRB's manual of surgery 5th edition